A 30 years old male presented with silvery scales on elbow and knee, which bleed on removal. The probable diagnosis is:
1. Pityriasis
2. Seborrheic dermatitis
3. Psoriasis
4. Secondary syphilis

Correct answer: 3. Psoriasis

Explanation: Ans. C. PsoriasisPsoriasis* Silvery white scales (due to air trapped between scales)* Removal of scales lead to appearance of punctuation/ pinpoint bleeding points (Auspitz sign)* Grattage test: Scratching with a glass slide accentuates scale formation in a psoriatic plaque.* Scales are absent in flexural psoriasis and on glans in un-circumscribed patients* Scaling is profuse in elephantine and rapid psoriasis.Seborrheic dermatitis* Greasy scalesPityriasis rosea* Collarette scales which are attached to peripheral edge and free towards center